Neointimal hyperplasia causes vascular graft failure as a result of hypertrophy of-
1. Endothelial cells
2. Collagen fibers
3. Smooth muscle cells
4. Elastic fibers

Correct answer: 3. Smooth muscle cells

Explanation: repeated question Neointimal hyperplasia first develops with damage to the arterial wall, followed by platelet aggregation at site of injury, recruitment of inflammatory cells, proliferation and migration of vascular smooth muscle cells, and collagen deposition.Neointimal hyperplasia Neointimal Hyperplasia refers to proliferation and migration of vascular smooth muscle cells primarily in the tunica intima, resulting in the thickening of arterial walls and decreased arterial lumen space. Neointimal hyperplasia is the major cause of restenosis after percutaneous coronary interventions such as stenting or angioplasty. The term neointima is used because the cells in the hyperplastic regions of the vascular wall have histological characteristics of both intima and normal artery cells.